"Id" reaction is seen in
1. Atopic dermatitis
2. Psoriasis
3. Dermatophyes
4. Eczematous drug reaction

Correct answer: 3. Dermatophyes

Explanation: Dermatophytid reaction/I'd reaction it is a noninfective hypersensitivity reaction of the skin to the fungal antigens manifested at a site distant from the associated fungal infection criteria for I'd reaction: proven dermatophyte infection highly inflammatory.eg: kerion id eruption doesn't show any ring worm resolution of I'd with disappearance of fungus positive intradermal reaction to trichophyton treatment: treatment of primary fungal infection with antifungals. iadvl textbook of dermatologypage 272